Short acting glucocorticoid is?
1. Fludrocortisones
2. Dexamethasone
3. Hydrocortisone
4. Aldostrone

Correct answer: 3. Hydrocortisone

Explanation: Ans. is 'c' i.e., Hydrocortisone o Short acting glucocorticoids (t1/2 : 8-12 hrs.) : Cortisol, hydrocortisone. o Intermediate acting glucocorticoids (t1/2 : 12-36 hrs.) : Prednisolone, methylprednisolone, triamcinolone. o Long acting glucocorticoids (t1/2 : 36-54 hrs.) : Dexamethasone betamethasone.